Hydatidiform - mole Is characterized histologically
1. Hyaline membrane degeneration
2. Hydropic degeneration of the villous stroma
3. Nonproliferation of cytotrophoblast
4. Nonproliferation of syncytiotrophoblast

Correct answer: 2. Hydropic degeneration of the villous stroma

Explanation: Hydatidiform or vesicular mole is an abnormal pregnancy characterized by hydropic degeneration and avascularity of the chorionic villi and trophoblastic proliferation.The resultant conceptus appears as grape like cystic vesicles called moles (refer pgno:169 sheila textbook of obstetrics 2 nd edition)